Pneumocystis carinii is diagnosed by
1. Sputum examination for trophozoites and cysts under microscope
2. Culture
3. Positive serology
4. Growth on artificial media

Correct answer: 1. Sputum examination for trophozoites and cysts under microscope

Explanation: Pneumocystis infection - specimen is induced sputum, bronchoalveolar lavage or lung biopsy. On microscopy - trophozoites can be demonstrated by Giemsa , toludine blue, methenamine silver and calcofluor white stain. Ref: Textbook of Microbiology, Ananthanarayan and Paniker; 9th edition